”CACHECTIN” is produced by
1. macrophage
2. neutrophils
3. basophils
4. eosinophils

Correct answer: 1. macrophage

Explanation: Tumor necrosis factor (TNF, cachexin, or cachectin, and formerly known as tumor necrosis factor alpha or TNFα) is an adipokine involved in systemic inflammation and is a member of a group of cytokines that stimulate the acute phase reaction. It is produced chiefly by activated macrophages
The primary role of TNF is in the regulation of immune cells. TNF, being an endogenous pyrogen, is able to induce fever,apoptotic cell death, cachexia, inflammation and to inhibit tumorigenesis and viral replication and respond to sepsis via IL1& IL6 producing cells. Dysregulation of TNF production has been implicated in a variety of human diseases including Alzheimer's disease, cancer, major depression and inflammatory bowel disease (IBD)